Anti-DNase B is used for the diagnosis of
1. Staphylococcus
2. Streptococcus
3. Corynebacterium
4. Neisseria

Correct answer: 2. Streptococcus

Explanation: Antideoxyribonuclease B ( anti-DNase B): serological test to determine streptococcal infection. Titres higher than 300 are taken as significant. Anti-DNase B and antihyaluronidase test are very useful for retrospective diagnosis of streptococcal pyoderma for which ASO is of much less value.